Which of the following has growth hormone stimulating activity?
1. IGF-1
2. Somatostatin
3. REM sleep
4. Ghrelin

Correct answer: 4. Ghrelin